Substrate level phosphorylation in citric acid cycle is catalysed by ?
1. Pyruvate kinase
2. Phosphoglycerate kinase
3. Malate dehydrogenase
4. Succinate thiokinase

Correct answer: 4. Succinate thiokinase

Explanation: There are 2 types of phosphorylation of ADP to ATP.1) Substrate level phosphorylation2) Oxidative phosphorylation at respiratory chain levelSubstrate level phosphorylation is the production of ATP at the substrate level without participation of ETC.It occurs in TCA cycle and glycolysis